About colostrum true statements are :
1. Contains less fat
2. Rich in immunoglobulin
3. Contains more protein
4. All

Correct answer: 4. All

Explanation: Ans. is a, b and c i.e. Rich in immunoglobulin; Contains more protein; and Contains less fat Colostrum is a deep yellow serous fluid secreted from breasts starting from pregnancy and for 2-3 days after delivery. Composition It has higher specific gravity and higher protein, Vitamin A, D, E, K, immunoglobulin, sodium and chloride content than mature breast milk. It has lower carbohydrate, fat and potassium than mature milk. Advantages : Antibodies (IgA, IgG, IgM) and humoral factor (lactoferrin) provide immunological defence to the new born. Laxative action due to fat globules. It is an :deal natural starter food.